Bisphosphonates are used in all of the following conditions except -
1. Post-menopausal osteoporosis
2. Steroid induced osteoporosis
3. Hypervitaminosis D
4. Malignancy associated hypercalcemia

Correct answer: 3. Hypervitaminosis D

Explanation: Ans. is 'c' i.e., Hypervitaminosis D Uses of Bisphosphonates Osteoporosis (Postmenopausal, idiopathic and steroid induced). Paget's disease Hypercalcemia of malignancy Osteolytic bone metastasis